Mortality rate of measles in developing countries?
1. 10%
2. 20%
3. 30%
4. 40%

Correct answer: 1. 10%

Explanation: Ans. is 'a' i.e., 10% Measles-associated mortality is usually higher among the very young and very old. Mortality in developing countries may be as high as 10 to 15% due to one or several factors, including the early age of infection, malnutrition, diarrhea, concomitant/secondary bacterial infections, and lack of access to good medical care. Most common cause of death is pneumonia in children and encephalitis in adults.